All of the following are therapeutic uses of penicillin G, except
1. Bacterial meningitis
2. Rickettsial infection
3. Syphilis
4. Anthrax

Correct answer: 2. Rickettsial infection

Explanation: Ans. is 'b' i.e., Rickettsial infection Penicillin G is the DOC for 1. Meningococcal meningitis 7. Leptospira 2. Bacillus anthracis (anthrax) 8. Actinomyces israelii (Actinomycosis) 3. Clostridium perfringens (gas gangrene) 9. Borrel i a burgdorferi (Lyme disease) 4. Clostridium tetani (tetanus) 10. Enterococci 5. Corynebacterium diphtheriae 11. Streptococci 6. Treponema pallidum (syphilis) 12. Susceptible pneumococci